Grid is used in radiography to:
1. Reduce KVP
2. Reduce exposure time
3. Reduce fogging
4. None of the above

Correct answer: 3. Reduce fogging